Which of the following pathway serve as the MOST important source of reducing equivalents for fatty acid synthesis in the liver?
1. Glycolysis
2. TCA cycle
3. Uronic acid pathway
4. HMP pathway

Correct answer: 4. HMP pathway

Explanation: The co enzyme used for the de novo fatty acid synthesis is NADPH. The hexose monophosphate pathway provides a major portion of cell's NADPH for fatty acid synthesis. Tissues having active lipogenesis such as liver, adipose tissue and lactating mammary gland have an active HMP shunt pathway also. The net reaction of de novo fatty acid synthesis can be summarized as: 1 Acetyl CoA + 7 Malonyl CoA + 14 NADPH + 14H+ - 1 Palmitate + 7 CO2 + 14 NADP+ +8CoA+ + 6H2O. The pentose phosphate pathway is an alternative route for the metabolism of glucose. The two major functions of this pathway are: The formation of NADPH for synthesis of fatty acids and steroids, and maintaining reduced glutathione for antioxidant activity. The synthesis of ribose for nucleotide and nucleic acid formation. Ref: Textbook Of Biochemistry For Dental Students By Vasudevan page 104. Harper's Illustrated Biochemistry, 29e chapter 21.